In a 5 year old child, instead of the physiological splitting of second heart sound, expected only during inspiration, a wide and a fixed split of S2 is heard, both during inspiration, as well as expiration. Condition associated with this is?
1. Atrial septal defect
2. Ventricular septal defect
3. Mitral regurgitation
4. Pulmonary stenosis

Correct answer: 1. Atrial septal defect

Explanation: WIDE FIXED SPLIT OF S2 IS SEEN IN: ASD Right Bundle Branch Block TAPVC WIDE VARIABLE SPITTING OF S2 IS SEEN IN: Pulmonic stenosis VSD Mitral regurgitation